Rapid examination of Tubercle bacilli is possible with-
1. Ziehl-Neelsen stain
2. Kin young stain
3. Auramine-Rhodamine stain
4. Giemsa stain

Correct answer: 3. Auramine-Rhodamine stain